Linear filling defect on ERCP is characteristic of which of the following :
1. Bile duct stone
2. Pancreatic duct stone
3. Worm in biliary tree
4. Stricture

Correct answer: 3. Worm in biliary tree

Explanation: Linear filling defect in main CBD is a characteristic feature of BILIARY ASCARIASIS. ERCP is the gold standard but an invasive method. It is used also in the extraction of CBD worms. The worms appear as a hypointense structure within the hyperintense CBD giving linear filling defect on MRCP/ERCP